Species identification is done by:
1. Takayama test
2. Precipitin test
3. Benzidine test
4. Spectroscopy

Correct answer: 2. Precipitin test

Explanation: Ans. Precipitin test